What is the key purpose of pharmacovigilance?
1. To monitor drug toxicity
2. To monitor unauthorized drug manufacture
3. Monitoring of students
4. Check costs

Correct answer: 1. To monitor drug toxicity

Explanation: Pharmacovigilance (abbreviated PV or PhV), also known as Drug Safety, is the pharmacological science relating to the collection, detection, assessment, monitoring, and prevention of adverse effects with pharmaceutical products. Pharmacovigilance studies play a major role in this population, particularly those studies that investigate functional impairment as an important adverse drug event. Ref: Hilmer S.N., Ford G.A. (2009). Chapter 8. General Principles of Pharmacology. In J.B. Halter, J.G. Ouslander, M.E. Tinetti, S. Studenski, K.P. High, S. Asthana (Eds), Hazzard's Geriatric Medicine and Gerontology, 6e.